True about dermoid cyst of ovary :
1. It is teratoma
2. Frequently undergo torsion
3. X-ray is diagnostic
4. All

Correct answer: 4. All

Explanation: Ans. is a. b, and c i.e. It is teratoma; Frequently undergo torsion; X-ray is diagnostic; and Contains sebaceous material and hairs Dermoid cyst (mature teratoma) : Most comon benign ovarian neoplasm. Mostly affect women of reproductive age group. Morphologically dermoid cyst is unilocular with smooth surface. On cross section -- cysts are unilocular and typically contain are area of localised growth that prottectes into the cystic cavity called as Rokintansky protuberance / dermoid process. It contains sebaceous material and hair with teeth. bone, cartilage, thyroid tissue. If teeth or bone are seen in X-ray in adnexal mass, this finding is pathognomic for teratoma. Dermoid cyst are bilateral in 12% to 15% and frequently arise in association with mucinous cystadenomas. Malignant change in a dermoid cyst occurs in 0.5 -- 2% cases in patients > 40 years. Most common malignancy which develop is. squamous cell carcinoma.